Methacholine has maximum agonist action at which of the following cholinergic receptors?
1. M1
2. M2
3. M3
4. M4

Correct answer: 2. M2

Explanation: Methacholine is a non selective muscarinic agonist. It has maximum agonist action on M2 receptor Relative Lee selective agonist of cholinergic receptor are: M1 selective: Oxotremorine M2 selective:metha methach ME selective: bethanechol Ref- katzung 12/e p100; KDT 7/e p101